All of the following radiologic features are seen in patients with chronic cor pulmonale, except
1. Prominence of pulmonary artery segment
2. Kerley's B lines
3. Dilatation of the main pulmonary arteries
4. Attenuated pulmonary vessels in lateral one third of the lung fields

Correct answer: 2. Kerley's B lines

Explanation: Diagnosis of Chronic cor pulmonale:Chest X-rayECGECHORight ventricular hypertrophyRight atrial dilatationProminent pulmonary arteryPeripheral lung fields show reduced vascular markingsFeatures of hyperinflation: Widened intercostal space, increased translucency of lung and flattened diaphragm. Right ventricular hypertrophy Right axis detionProminent R wave in lead V1 & inverted T waves in right precordial leadsLarge S in Lead I, II and IIILarge Q in lead IIITall Peaked P waves (P pulmonale) in lead II, III and aVF.Right ventricular dilatation and tricuspid regurgitation(Refer: Harrison's Principles of Internal Medicine, 18th edition, pg no: 1913-1915)